Most common site of colorectal malignancy?
1. Caecum
2. Splenic flexure
3. Sigmoid colon
4. Rectum

Correct answer: 4. Rectum

Explanation: Rectum(38%) is the most common site of colorectal carcinoma followed by sigmoid colon(21%) and by caecum(12%).Transverse colon -5.5%; Ascending colon- 5%; Descending colon- 4%; Splenic flexure -3%; Hepatic flexure -2%; Appendix- 0.5%. Reference : page 1179 Bailey and Love's short practice of surgery 25th edition